All produce carpal tunnel syndrome except ?
1. Colle's
2. Acromegaly
3. Addisons disease
4. Hypothyroidism

Correct answer: 3. Addisons disease

Explanation: Ans. is 'c' i.e., Addisons disease